Hypoglycemic unawareness that occurs in diabetic patients when transfered from oral hypoglycemics to insulin, is due to -
1. Autonomic neuropathy
2. Insulin resistance
3. Lipodystrophy
4. Somogi phenomenon

Correct answer: 1. Autonomic neuropathy